Coffee bean nucleiare seen all of the following except
1. Granulosa cell tumor
2. Follicular carcinoma thyroid
3. Brenner tumor
4. Langerhan’s cell histiocytosis

Correct answer: 2. Follicular carcinoma thyroid

Explanation: A nuclei with longitudinal groove gives it a coffee bean nuclei appearance and is seen characteristically in
Papillary carcinoma thyroid
Brenner tumor
Granulosa cell tumor
Langerhan’s cell histiocytosis